Most common abnormality for 1st trimester abortion is :
1. Trauma
2. Placental and membrane abnormalities
3. Chromosomal abnormalities/ Germ plasm de fect
4. Retroversion

Correct answer: 3. Chromosomal abnormalities/ Germ plasm de fect

Explanation: Chromosomal abnormalities/ Germ plasm de fect